An infant is diagnosed with MEN-2B trait. Which the following will be best line of management
1. Prophylactic surgery
2. Clinical observation and follow up
3. Regular FNAC
4. All of the above

Correct answer: 1. Prophylactic surgery